All are features of lepromatous leprosy except
1. Saddle nose
2. Ulcus serpens
3. Gynecomastia
4. Madarosis

Correct answer: 2. Ulcus serpens

Explanation: Features of lepromatous leprosy bilaterally symmetrical lesion - macules papules,plaques,nodules or nerves glove and stocking aneathesia madarosis-loss of eyebrows and eyelashes leonine fancies nodular lesions over nose and hard palate ,tongue. nasal stuffiness and epistaxis saddle nose autoamputation of fingersand toes septal perforation stridor hoarseness of voice gynecomastia all the features are present except Lucius Serpens in lepromatous leprosy iadvl textbook of dermatology, page 2042